In which of the following types of leukemia is methotrexate administered for CNS prophylaxis -
1. ALL
2. AML
3. CLL
4. CML

Correct answer: 1. ALL